Nutritional supply of the ameloblasts during most of their life cycle is from the:
1. Dental pulp
2. Odontoblastic processes
3. Dental sac
4. Reduced dental organ

Correct answer: 3. Dental sac

Explanation: Before the appearance of 1st layer of dentin, ameloblast derive nutrition from dental papilla. After dentin layer formation they receive nutrition from the capillaries of dental sac that surround the outer enamel epithelium.